Community development block covers a population of?
1. 3000-5000
2. 20000-30000
3. 30000-50000
4. 80000-120000

Correct answer: 4. 80000-120000

Explanation: Ans. is 'd' i.e., 80000-120000 At present a community development block covers an area of about 620 sq km with around 100 villages and a population of about 100000 (80000 - 120000).